Water host required for schistosomiasis ?
1. Fish
2. Cyclops
3. Snails
4. Crabs

Correct answer: 3. Snails

Explanation: Ans. is 'c' i.e., Snails